Why is bevel of Endotracheal tubes left sided at the proximal tip of the tube-
1. For easier passage of tube through vocal cords
2. To prevent occlusion of tip by tracheal wal
3. For high pressure ventilation
4. All of the above

Correct answer: 1. For easier passage of tube through vocal cords

Explanation: Endotracheal tubes (ETTs) typically have a left-facing bevel at the tip. ... The bevel is left-facing rather than right-facing to allow a better view of the ETT tip entering the field of view from right to left/ midline and then passing throught the vocal chords. bevel is towards left side.